If chymotrypsin molecule undergoes a ser-195-ala mutation then :
1. Chymotrypsin will not bind the substrate
2. Chymotrypsin will bind the substrate as well as cause cleavage
3. Chymotrypsin will bind the substrate but will not cause cleavage
4. No affect will be observed

Correct answer: 3. Chymotrypsin will bind the substrate but will not cause cleavage

Explanation: Serine- 195 is a highly reactive residue of chymotrypsin molecule.It endows chymotrypsin with its 'Reactivity' and not its ability to bind to substrate. In absence of Ser- 195 residue, chymotrypsin is inactivated i.e., it will not cleave, however, it still has the ability to bind (by virtue of other remaining residues).